Bulging fissures in lung is seen in
1. Staphylococcus pneumonia
2. Klebsiella pneumonia
3. Pulmonary edema
4. Pneumoconiasis

Correct answer: 2. Klebsiella pneumonia